Mouse is used for pathogenicity testing in ?
1. M. Tuberculosis
2. C diptheriae
3. Bordetella pertussis
4. Brucella

Correct answer: 3. Bordetella pertussis

Explanation: Ans. is 'c' i.e., Bordetella pertussis Bordetella pertussis is an obligate human parasite, but infection can be produced experimentally in several species of animals, the white mouse being most often employed. Intranasal inoculation produces a patchy interstitial pneumonia. Intraperitoneal inoculation of large doses is fatal due to toxemia. Intracerebral inoculation causes a fatal infection. Immunized mice are protected. This forms the basis for intracerebral mouse potency assay for pertussis vaccines.